The half-life of Digoxin is
1. 24hours
2. 40hours
3. 48hours
4. 60hours

Correct answer: 2. 40hours

Explanation: Digoxin is not extensively metabolized in humans; almost two-thirds is excreted unchanged by the kidneys. Its renal clearance is proportional to creatinine clearance, and the half-life is 36-40 hours in patients with normal renal functionReference: Katzung Pharmacology; 13th edition; Chapter 13; Drugs Used in Heart Failure